Which of the following organ is highly susceptible to radiation induced cancer?
1. Bone marrow
2. Thyroid
3. Bone
4. Brain

Correct answer: 1. Bone marrow